Peritoneal mice is
1. Pseudomyxoma peritonei
2. Appendices epiploicae
3. Peritoneal seedings of tumour
4. Endometriosis

Correct answer: 2. Appendices epiploicae

Explanation: • Peritoneal loose bodies almost never cause symptoms.
• One or more may be found in a hernial sac or in the pouch of Douglas.
• The loose body may come from an appendix epiploica that has undergone axial rotation followed by necrosis of its pedicle and detachment but they are also found in those who suffer from subacute attacks of pancreatitis.
• These hyaline bodies attain the size of a pea or bean and contain saponified fat surrounded by fibrin.